Tonsillectomy is contraindicated in which of the following situations ?
1. Diphtheria (after four weeks)
2. Acute tonsillitis
3. For avulsion of glossopharyngeal nerve
4. Suspected tonsillar malignancy

Correct answer: 2. Acute tonsillitis